Drug of choice for akathesia caused by use of haloperidol is
1. Propranolol
2. Benzhexol
3. Diazepam
4. Levodopa

Correct answer: 1. Propranolol

Explanation: EPS Drug Of Choice Dystonia Benzhexol Akathisia Propranolol Parkinsonism Benzhexol Malignant neuroleptic syndrome Dantrolene Tardive dyskinesia Valbenazine